Filigree burns are
1. Lightening bums
2. Thermal bums
3. Chemical bums
4. Radiation bums

Correct answer: 1. Lightening bums

Explanation: (A) Liahtnina burns FN. Reddv26 - 293: N. Reddv25- 292: Parikh5- 2071# Arborescent or Filigree Burns (Lichtenberg's flowers):> Burns are superficial, thin, irregular and tortuous markings on the skin.> These markings have a general pattern resembling the branches of a tree.> Fern-like pattern of erythema in the skin is usually found over the shoulder or the flanks.> These are seen in lightning stroke.